Which of the following does not describe a "high risk" infant?
1. Third baby
2. Birth weight less than 2.5 kg
3. Premature neonate
4. Twins

Correct answer: 1. Third baby

Explanation: a. Third baby(Ref: Nelson's 20/e p 819)Factors that define an infant as being 'high risk':Demographic social factorsPrevious pregnancyPresent pregnancyMaternal age <16 or >40 yrIntrauterine fetal demiseVaginal bleeding (abruptio, placenta previa)Illicit drug, alcohol, cigarette useNeonatal deathSexually transmitted ds (e.g. syphilis, HIV)Past medical historyPrematurityMultiple gestationGenetic disordersIntrauterine growth restrictionPreeclampsiaDiabetes mellitusNeonatePremature rupture of membranesHypertensionBirthweight <2,500 or >4,000gPoly-/oligohydramniosAsymptomatic bacteriuriaBirth <37 or >=42 wk of gestationCongenital malformationRheumatologic illness (SLE)Respiratory distress, cyanosisLabor and delivery Fetal distress Breech presentation Meconium-stained fluid